The WHO was set up in –
1. 1929
2. 1946
3. 1948
4. 1952

Correct answer: 3. 1948

Explanation: The constitution came into force on 7th April 1948, which is celebrated every year as world health day.